Which one of the following agents sensitises the myocardium to catechlomines:
1. Isoflurane
2. Ether
3. Halothane
4. Proplofol

Correct answer: 3. Halothane